What is the size of particle is rapid sand filter ?
1. 0 .1 mm
2. 0.2
3. 0.5
4. 0.4 to 0.7 mm

Correct answer: 4. 0.4 to 0.7 mm

Explanation: Rapid sand filter  → 0.4 - 0.7 mm
Slow sand filter → 0.2 - 0.3